White infracts are seen in which of the following
1. Kidney
2. Spleen
3. Heart
4. All the above

Correct answer: 4. All the above

Explanation: Ref Robbins 8/e p128; 7/e p138 see explanations of earlier question White infarcts occur with arterial occlusions in solid organs with end-arterial circulations (e.g., heart, spleen, and kidney), and where tissue density limits the seepage of blood from adjoining patent vascular beds (Fig. 3-17, B). Infarcts tend to be wedge-shaped, with the occluded vessel at the apex and the organ periphery forming the base (Fig. 3-17); when the base is a serosal surface, there is often an overlying fibrinous exudate. Lateral margins may be irregular, reflecting flow from adjacent vessels. The margins of acute infarcts typically are indistinct and slightly hemorrhagic; with time, the edges become better defined by a narrow rim of hyperemia attributable to inflammation. Infarcts resulting from arterial occlusions in organs without a dual circulation typically become progressively paler and sharply defined with time (Fig. 3-17, B). By comparison, hemorrhagic infarcts are the rule in the lung and other spongy organs (Fig. 3-17, A). Extravasated red cells in hemorrhagic infarcts are phagocytosed by macrophages, and the heme iron is converted to intracellular hemosiderin. Small amounts do not impart any appreciable color to the tissue, but extensive hemorrhages leave a firm, brown residuum